Middle ear effusion with intact eardrum gives rise to which type of tympanogram?
1. Type A
2. Type B
3. Type C
4. Type D

Correct answer: 2. Type B

Explanation: Type B tympanogram is flat in appearance, indicating lack of compliance. The volume measurement that is simultaneously performed with tympanometry helps to differentiate between a flat tympanogram suggesting an intact eardrum with middle ear effusion and a perforated eardrum or patent ventilating tube.